Which of the following is TRUE about rheumatoid factor?
1. An albumin
2. 17S globulin
3. 7S globulin
4. 19S globulin

Correct answer: 4. 19S globulin

Explanation: Rheumatoid factors (RFs) are autoantibodies, predominantly IgM isotype (19s IgM), that are directed against multispecies antigenic determinants on the heavy chain of IgG. RFs can arise as an epiphenomenon during acute illness or chronic antigenic stimulation of almost any cause. They are present, in significant titer, in bacterial endocarditis, granulomatous diseases, and most rheumatic diseases. Ref: Textbook of Microbiology By Ananthanarayan And Paniker, 2005, Page 174.